Not a feature of NPCB-
1. Reduce backlog of cataract surgery
2. Strengthening of RIO
3. Increase community awareness
4. Reach out approach

Correct answer: 4. Reach out approach

Explanation: Reach in approach and not reach out approach is used in NPCB NATIONAL PROGRAM FOR CONTROL OF BLINDNESS * 100 % centrally funded scheme * Rapid Survey on Avoidable Blindness in 2006-07 showed reduction in prevalence of blindness from 1.1% (2001-02) to 1% (2006-07). * Target: 0.3% by 2020. Main causes of blindness- * Cataract (62.6%) > Refractive Error (19.70%) >Glaucoma (5.80%), Revised Strategies * Outreach activities o Shifted from eye camp approaches to fixed facilities surgical based approaches e.g. Reach In Programme o Making more comprehensive catering others cause of blindness (refractive errors and low vision, childhood blindness, corneal blindness, glaucoma, diabetic retinopathy) * Services in rural/tribal and other difficult areas-Infrastructures development and appointing contractual ophthalmic manpower * Strengthening Public Private Partnership